All are true about cutaneous anthrax except ?
1. Extremely painful
2. The whole area is congested and edematous
3. Central crustation with black eschar
4. Satellite nodule around inguinal region

Correct answer: 1. Extremely painful

Explanation: Ans. is 'a' i.e., Extremely painful * Cutaneous anthrax is painless.